Laryngocele arises as a herniation of laryngeal mucosa through the following membrane
1. Thyrohyoid
2. Cricothyroid
3. Cricotracheal
4. Crisosternal

Correct answer: 1. Thyrohyoid

Explanation: Laryngocele arises as a herniation of laryngeal mucosa through the Thyrohyoid membrane. It is dilatation of laryngeal saccule and extends between the thyroid cartilage and the ventricle. It may be internal, external or combined. Treatment is endoscopic or external excision. Ref: PL Dhingra 7th edition of Ear, Nose and Throat, pg no. 345